All are true about minimal change G.N. except ?
1. Selective proteinuria
2. IgG deposition in mesangium
3. Common in age group 2-9 years
4. Responds to steroid's

Correct answer: 2. IgG deposition in mesangium

Explanation: Ans. is 'b' i.e., IgG deposition in mesangium There is no depositon of immune reactants.